Granulomatous lung disease is caused by?
1. Hypersensitivity pneumonitis
2. Sarcoma
3. Bronchogenic carcinoma
4. Bronchogenic cyst

Correct answer: 1. Hypersensitivity pneumonitis

Explanation: Ans is 'a' i.e. Hypersensitivity pneumonitis* Granulomatous lung disease refers a broad group of infectious and well as non infections conditions characterized by formation of granulomas.* The spectrum includes :1) Infectiousa) Mycobacteriali) Pulmonary tuberculosisii) Pulmonary non tuberculous mycobacterial infectionb) Fungali) Pulmonary coccidioidomycosisii) Pulmonary cryptococcosisiii) Pulmonary histoplasmosisiv) Pulmonary blastomycosisv) Pulmonary aspergillus infectionsc) Parasitici) Pulmonary dirofilaria infection2) Non infectiousa) Sarcoidosisb) Wegener granulomatosisc) Churg strauss syndromed) Chronic granulomatous disease2e) Hypersensitivity pneumonitisf) Bronchocentric granulomatosisg) Pulmonary manifestations of rheumatoid arthritish) Granulomatosis secondary to substancesi) Pulmonary talc granulomatosisii) Berylliosisiii) Granulomatous pneumonitis associated with begi) Changes secondary to chronic aspiration pneumonitisj) Lymphoproliferativei) Lymphocytic interstitial pneumonitisii) Lymphomatoid granulomatosisk) Pulmonary langerhans cell histiocytosisl) Erdheim-chester diseasem) Granulomatous lung disease associated with common variable immunodeficiency